Propanolol is contraindicated in a patient of angina pectoris who is already receiving:
1. Nifedipine
2. Aspirin
3. Verapamil
4. Isosorbide mononitrate

Correct answer: 3. Verapamil

Explanation: Propanolol is a b-blocker. Verapamil should not be given with b blockers because additive sinus depression, conduction defects or asystole may occur.